Crown infraction is also known as:
1. Uncomplicated crown fracture.
2. Green stick fracture.
3. Complicated crown fracture
4. All of the above.

Correct answer: 2. Green stick fracture.